Barbiturate ingestion is associated with hypertrophy of which cellular organelle?
1. Mitochondria
2. Endoplasmic reticulum
3. Golgi apparatus
4. Nucleolus

Correct answer: 2. Endoplasmic reticulum

Explanation: Hypertrophy usually refers to increase in size of cells or tissues, but sometimes a subcellular organelle may undergo selective hypertrophy. Individuals treated with drugs such as barbiturates show hypertrophy of the smooth endoplamic reticulum (ER) in hepatocytes, which is an adaptive response that increases the amount of enzymes (cytochrome P-450 mixed function oxidases) available to detoxify the drugs. Ref: Robbins, 8th edition, Chapter 1.